Vagal stimulation of the heart causes:
1. Increased heart rate
2. Increased R-R interval in ECG
3. Increased force of heart contraction
4. Increased cardiac output

Correct answer: 2. Increased R-R interval in ECG

Explanation: Increased R-R interval in ECG Vagus is the parasympathetic supply to the heart. Its stimulation causes: - Decreased heart rate - Decreased force of heart contraction - Decreased cardiac output R-R interval is the time interval between consecutive heart beats in the electrocardiogram. So a decrease in heart rate increases the R-R interval Reverse effects on the heart are noted due to sympathetic stimulation.